Serum-ascites albumin gradient >1.1g/dL is seen in
1. Alcoholic cirrhosis
2. Tuberculosis
3. Pancreatitis
4. Malignant ascites

Correct answer: 1. Alcoholic cirrhosis

Explanation: Serum ascites-to-albumin gradient (SAAG) When the gradient between the serum albumin level and the ascitic fluid albumin level is >1.1 g/dL, (ie; low protein in ascitic fluid compared to serum) the cause of the ascites is most likely due to portal hypertension; this is usually in the setting of cirrhosis. In patients with cirrhosis, the protein concentration of the ascitic fluid is quite low, with the majority of patients having an ascitic fluid protein concentration <1 g/dL.When the gradient is <1.1 g/dL, infectious or malignant causes of ascites should be considered.Ref: Harrison 19e pg: 2065